The level of which one of the following hormones is likely to increase after hypothalamic ablation?
1. Growth hormone
2. Prolactin
3. FSH
4. ACTH

Correct answer: 2. Prolactin